Pantothenic acid is coenzyme for which of the following reaction
1. Dehydrogenation
2. Reduction
3. Transamination
4. Acetylation

Correct answer: 4. Acetylation

Explanation: The functions of pantothenic acid are exerted through coenzyme A or CoA (A for  acetylation). Coenzyme A  is a central molecule involved in all  the  metabolisms (carbohydrate, lipid  and protein).
NOTE : Pantothenic acid as a part of CoA takes part in :

Fatty acid oxidation
Acetylation
Citric acid cycle
Cholesterol synthesis

Ref : Satyanarayana. 3rd ed, pg - 149